Anaerobic method of solid waste disposal is-
1. Bangalore method
2. Mechanical composting
3. Controlled tipping
4. Incineration

Correct answer: 1. Bangalore method

Explanation: * 'Bangalore method' or 'hot fermentation process' is an anaerobic method of composting. * Composting is a method of combined disposal of refuse and night soil. It is a process of nature whereby organic matter breaks down under bacterial action resulting in the formation of humus like material called 'compost', which has manorial value for the soil. * The principal by-products of composting are CO2, H2O and heat. The two methods of composting generally used are- 1) Bangalore method (Anaerobic method). 2) Mechanical composting (Aerobic method). * Compost contains few or no disease producing organisms and is a good soil builder, containing small amounts of nitrates and phosphates which are major plant nutrients.